Which of the following drug DOES NOT cause megaloblastic anemia?
1. Phenytoin
2. Chloroquine
3. Sulfasalazine
4. Metformin

Correct answer: 2. Chloroquine

Explanation: Agents implicated in drug induced macrocytic anemia are: Phenytoin Azathioprine Metformin Leflunomide Sulfisoxazole Sulfasalazine Mesalamine Zidovudine Trimethoprim Sulfamethoxazole